In primary angle-closure glaucoma pilocarpine lowers the intraocular pressure by its direct action on the:
1. Sphincter pupillae muscle
2. Ciliary epithelium
3. Trabecular meshwork
4. All of the above

Correct answer: 1. Sphincter pupillae muscle

Explanation: Ans. Sphincter pupillae muscle